All are true about Brown-Sequard syndrome except
1. Hemisection of spinal cord
2. Ipsilateral loss of vibration sensations
3. Ipsilateral loss of crude touch sensations
4. Ipsilateral paralysis below the level of lesion

Correct answer: 3. Ipsilateral loss of crude touch sensations

Explanation: Ipsilateral loss of crude touch sensation is not seen in Brown sequard syndrome. Brown-sequard syndrome is the hemisection of the spinal cord. This causes damage to ascending sensory (dorsal column pathway, spinothalamic tract) and descending motor (coticospinal tract) pathways. The damage to the dorsal column pathway leads to ipsilateral loss of fine touch, vibration and proprioception below the level of the lesion. The damage to the spinothalmic tract leads to contralateral loss of pain and temperature sensation begining one or two segements below the lesion. The damage to the corticospinal tract produces ipsilateral paralysis of the body. Ref: Snell's Clinical NEUROANATOMY 8th edition Pgno: 170